K flex file is made up of
1. Triangular blank
2. Rhomboid blank
3. Round blank
4. Rectangular blank

Correct answer: 2. Rhomboid blank